The MTP act defines the following
1. Who should do termination of pregnancy
2. Where it should be done
3. When it should be done
4. All of the above

Correct answer: 4. All of the above

Explanation: The Medical Termination of Pregnancy Act, 1971 lays down Conditions under which a pregnancy can be terminated Person or Persons who can perform such terminations Place where such terminations can be performed Reference : Park's textbook of preventive and social medicine, 23rd edition, Page no: 506